Classical technique of genitourinary fistula repair in contrast to Latzko technique involves
1. Partial excision of fistula.
2. Total excision of fistulous tract.
3. Shortening of vagina.
4. Approximates anterior and posterior vaginal walls.

Correct answer: 2. Total excision of fistulous tract.

Explanation: Classical technique of fistula repair involves complete excision of fistulous tract.